A 30–year old epileptic female, Kamla on phenytoin therapy, developed weakness and fatigue. Blood examination revealed Hb = 4.6 gm. MCV = 102 fl and MCH = 40 pg/dl. What is the most probable diagnosis ?
1. Heart failure
2. Iron deficiency anemia
3. Phenytoin induced agranulocytosis
4. Megaloblastic anemia

Correct answer: 4. Megaloblastic anemia